Tricyclic antidepressants cause all except
1. Coma
2. Prolongation of QRS complexes
3. Myoclonic jerks
4. Metabolic alkalosis

Correct answer: 4. Metabolic alkalosis